Which flavivirus causes hepatitis in human ?
1. Hepatitis A
2. Hepatitis B
3. Hepatitis C
4. Hepatitis D

Correct answer: 3. Hepatitis C

Explanation: Ans. is 'c' i.e., Hepatitis C